Tram track calcification is seen in
1. Eosinophilic granuloma
2. Sturge weber syndrome
3. Weber Christain syndrome
4. Neurofibroma

Correct answer: 2. Sturge weber syndrome

Explanation: Sturge weber syndrome